Amputation of tarsometatarsal joint is called -
1. Chopart's
2. Lisfranc's
3. Syme's
4. Ray

Correct answer: 2. Lisfranc's

Explanation: (B) (Lisfranc) (319-M 4th, 325 Apley)Amputation through the mid tarsal joint (Chopart) through the tarsometatarsal Joint (Lisfranc).NamePart of the limb removed* 'Lisfranc' amputationThrough inter-tarsal joint* Chopart's amputationThrough talo-navicular joints.* Syme's amputationThrough the ankle joint.* Ray amputationRemoval of finger with respective metacarpal from - carpometacarpal.* Krukenburg's amputationMaking 'forceps' with two forearm bones.Indication of Amputations "Three Ds"1) DEAD (Or dying) -i. Peripheral vascular diseaseii. Severe traumaiii. Bumsiv. Frostbite2) DANGEROUS -i) Malignant tumoursii) Potentially lethal sepsisiii) Crush injuryCrush injury, releasing the compression may result in renal failure (the crush syndrome).3) DAMNED NUISANCE - Because of-i) Painii) Gross malformationiii) Recurrent sepsisiv) Severe loss of function* Phantom limb - term is used to describe the feeling that amputated limb is still present.* Fore quarter amputation - Interscapulo-thoracic.* Hind quarter amputation - Hemipelvectomy